Initial management of chemical injury is:
1. Skin grafting
2. Antibiotic coverage
3. Wait & watch
4. Lavage with water

Correct answer: 4. Lavage with water

Explanation: Ans. D i.e. Lavage with water